Length of external auditory canal is ______________
1. 12 mm
2. 24 mm
3. 36 mm
4. 48 mm

Correct answer: 2. 24 mm

Explanation: Ans. B. 24 mm In adults the external acoustic meatus measures about 24 mm from the introitus to the tympanic membrane, which is its medial limit.